Adenoidectomy contraindicated in-
1. SOM
2. CSOM
3. Bleeding disorder
4. None

Correct answer: 3. Bleeding disorder

Explanation: Ans. is 'c' i.e., Bleeding disorder Adenoidectomyo Adenoidectomy is the surgical removal of adenoid. This can be done either alone or more often with tonsillectomy (adenotonsillectomy).Indications (Essential otolaryngology 2nd/e - 1189, Pediatric otolaryngology' 2nd/e 774)o Enlargement causing nasal airway obstruction, which can result in obstructive breathing, obstructive sleep apnea symptoms and chronic mouth breathing,o Recurrent or persitent otitis media in children 3-4 years or above,o Recurrent and/or chronic sinusitis.o Orbital complications are the most common complications of sinusitis :Orbital complications (60-75%)Intracranial complications (15-20%)Other (5-10%)Contraindications for adenoidectomvo Cleft palate or submucous palateo Hemorrhagic diathesiso Acute infection of upper respiratory' tract